Otoacoustic emissions arise from?
1. Outer hair cells
2. Inner hair cells
3. Both
4. Organ of corti

Correct answer: 1. Outer hair cells

Explanation: ANSWER: (A) Outer hair cellsREF: Dhingra's ENT 4th edition page 29 Repeat from December 2009 Otoacoustic Emissions (OAEs)They are low intensity sounds produced by outer hair cells of a normal cochlea and can be elicited by a very sensitive microphone placed in the external ear canal and an analysis by a computer. Sound produced by outer hair cells travels in a reverse direction:Outer hair cells -basilar membrane - perilymph - oval window - ossicles - tympanic membrane - ear canal,